Site of action of amphotericin B is:
1. Ribosomes
2. Cell wall
3. Cell membrane
4. Protein

Correct answer: 3. Cell membrane

Explanation: Ref. KDT. Page. 787
Amphotericin:

The polyenes have high affinity for ergosterol present in fungal cell membrane: combine with it, get inserted to form a ‘micropore’.
The hydrophilic side forms the interior of the pore through which ions, amino acids and other water- soluble substances move out.
The micropore is stabilized by membrane sterols which fill up the spaces between the AMB molecules on the lipophilic side—constituting the outer surface of the pore. Thus, cell permeability is markedly increased.